Focal diffuse gallbladder wall thickening with comet tail reverberation artifacts on USG is seen in the following condition:
1. Adenomyomatosis of gallbladder
2. Ca gall bladder
3. Adenomatous polyps
4. Xanthogranuloma

Correct answer: 1. Adenomyomatosis of gallbladder

Explanation: Adenomyomatosis is a type of hyperplastic cholecystoses, characterized by a benign proliferation of gallbladder surface epithelium with glandlike formations, extramural sinuses, transverse strictures, and/or fundal nodule ("adenoma" or "adenomyoma") formation. The classic appearance is focal wall thickening in the gallbladder fundus. The presence of cystic spaces and echogenic foci with "comet tail" reverberation artifact is diagnostic of adenomyomatosis. Ref: Longo D.L., Fauci A.S., Kasper D.L., Hauser S.L., Jameson J.L., Loscalzo J. (2012). Chapter 311. Diseases of the Gallbladder and Bile Ducts. In D.L. Longo, A.S. Fauci, D.L. Kasper, S.L. Hauser, J.L. Jameson, J. Loscalzo (Eds), Harrison's Principles of Internal Medicine, 18e.